The drug most likely to be responsible for accurate pancreatic disease
1. Didanosine
2. Ketokonazole
3. Saquninavir
4. Zidovudine

Correct answer: 1. Didanosine

Explanation: Ref-KDT 6/e p771 Didanosine is most commonly implicated anti-retroviral drug in causing acute pancreatitis. Maximum chances ot peripheral neuropathy are seen with stavudine